Causative agent of sore throat is:
1. Staphylococcus aureus
2. Streptococcus pyogenes
3. H. Influenzae
4. Corynebacterium diphtheriae

Correct answer: 2. Streptococcus pyogenes

Explanation: Ans. B: Streptococcus pyogenes The primary site of invasion of human body by streptococcus pyogenes is the throat. Primary bacterial pathogens that account for approximately 30% of cases of pharyngitis include Streptococcus pyogenes /Group A Beta Hemolytic Streptococci (common), group C streptococci (uncommon), group G streptococci (uncommon), Neisseria gonorrhoeae (uncommon), Corynebacterium diphtheriae (rare), and Corynebacterium hemolyticum (extremely rare). Viruses are isolated in approximately 40% of cases and include rhinovirus, adenovirus, parainfluenza virus, coxsackievirus, coronavirus, echovirus, herpes simplex virus, Epstein-Barr virus (mononucleosis), and cytomegalovirus. Other probable copathogens for pharyngitis in children include Staphylococcus aureus, Haemophilus influenzae, Branhamella catarrhalis, Bacteroides fragilis, Bacteroides oralis, Bacteroides melaninogenicus, Fusobacterium species, and Peptostreptococcus species.